The restoration of body function is known as -
1. Vocational rehabilitation
2. Medical rehabilitation
3. Social rehabilitation
4. None of these

Correct answer: 2. Medical rehabilitation

Explanation: Types of rehabilitation

Medical rehabilitation → Restoration of function.
Vocational rehabilitation → Restoration of the capacity to earn a livelihood.
Social rehabilitation → Restoration of family and social relation.
Psychological rehabilitation → Restoration of personal dignity and confidence.